The stain used to detect amyloid is?
1. Grams stain
2. Congo red
3. Oil red O
4. Reticulin stain

Correct answer: 2. Congo red

Explanation: Ans. (b) Congo redRef: Robbin's pathology 9th ed. 1257* In biochemistry and histology, Congo red is used to stain microscopic preparations especially as a cytoplasm and erythrocyte stain.* Apple-green birefringence of Congo red stained preparations under polarized light is indicative for the presence of amyloid fibrils.* Additionally, Congo Red is used in microbiological epidemiology to rapidly identify the presence of virulent serotype 2A ShigellaFlexneri, where the dye binds the bacterium's unique lipopolysaccharide (LPS) structure